" Tridosha theory of disease" belongs to which system of Medicine?
1. Homeopathy
2. Ayurveda
3. Siddha
4. Unani

Correct answer: 2. Ayurveda

Explanation: Ayurvedha [Disease occurs when there is disequilibrium in three doshas namely, Vata (wind), Pitta (gall) and Kapha (mucus).